Cellular cementum and compact bone contain
1. Sharpey's fibres and elastic fibres
2. Collagen fibres and blood vessels
3. Canaliculi and incremental lines
4. Lacunae and elastic fibres

Correct answer: 3. Canaliculi and incremental lines